A 35yr old Chemical factory worker come to Emergency dept. with sudden splash of an unknown chemical over his hand and feet. All are true about this type of burn except ?
1. Copious irrigation with water
2. Alkalis are more destructive and dangerous
3. Try to neutralise the chemical
4. Topical Calcium gluconate is used in the treatment of Hydroflouric burn

Correct answer: 3. Try to neutralise the chemical

Explanation: Management of chemical burn:- Copious irrigation with water or saline Performed for a minimum of 20 minutes Exceptions Elemental metals - Causes exothermic reaction with water * Phenol - leads to deeper infiltration of tissues Treatment should continue - until skin pH is normal Remove the contaminated clothing's & Jewelry Do not try to neutralize the chemical burn Neutralization causes Exothermic reaction - leads to further injury Calcium gluconate is used in the treatment of Hydroflouric burn